Which of the following is associated with A-V block?
1. Hypothyroidism
2. Hyperthyroidism
3. Cushing disease
4. Pheochromocytoma

Correct answer: 1. Hypothyroidism

Explanation: Hypothyroidism will lead to myxedema which can interfere in A.V conduction pathway of heart. Etiologies of Atrioventricular Block Autonomic Carotid sinus hypersensitivity Vasovagal Metabolic/ Endocrine Hyperkalemia Hypermagnesemia Hypothyroidism Adrenal insufficiency Drug Related Beta blocker Calcium channel blockers Digitalis Adenosine Antiarrhythmics (class I and III) Lithium Infectious Endocarditis Lyme disease Chagas disese Syphilis Tuberculosis Diphtheria Toxoplasmosis Heritable/ congenital